Which of the following production is noted in Cushing's Syndrome a tumour associated ?
1. Decrease production of cortisol
2. Increase production of cortisol
3. Excessive production of epinephrine
4. Excessive production of vasopressin

Correct answer: 2. Increase production of cortisol

Explanation: Ans. is 'b' i.e., Increase production of cortisol Cushing syndrome o Cushing syndrome is characterized by an excess production of cortisol. o The most common cause of cushing syndrome is exogenous hypercortisolism, administration of exogenous glucocorticoids. o The cause of endogenous hypercortisolism (endogenous cushing syndrome) are : - i) ACTH producing pituitary m7icroadenoma -* o It is the most common cause of endogenous hypercortisolism and this form of cushing syndrome is referred to as cushing disease. ii) Hypersecretion of corisol by an adrenal adenoma, carcinoma or nodular hyperplasia. iii) The secretion of ectopic ACTH by a nonendocrine neoplasm, e.g., small cell carcinoma of lung.